Councilman bodies are seen ill-
1. Alcoholic cirrhosis
2. Wilson's disease
3. Acute viral hepatitis
4. Autoimmune hepatitis

Correct answer: 3. Acute viral hepatitis

Explanation: Ans. is 'c' i.e., Acute viral hepatitis